Clathrin is associated with which of the following functions?
1. Pinocytosis
2. Adhesion
3. Coagulation
4. None of the above

Correct answer: 1. Pinocytosis

Explanation: Clathrin-mediated endocytosis occurs at membrane indentations where the protein clathrin accumulates. Pinocystosis is endocytosis known as 'cell drinking'. Clathrin molecules have the shape of triskelions, with three "legs" radiating from a central hub. As endocytosis progresses, the clathrin molecules form a geometric array that surrounds the endocytotic vesicle. Ref: Ganong's Review of Medical Physiology 23rd edition, Chapter 2.